True regarding partial mole:
1. It has more chances of malignancy
2. Cellular atypia seen
3. Trophoblastic proliferation with no villi
4. Triploid or tetraploid

Correct answer: 4. Triploid or tetraploid

Explanation: Ans. is d, i.e. Triploid or tetraploidPartial mole has less chances of malignancy.In molar pregnancy villi are present and villi pattern is mantained but there are no blood vessels in the villi.Partial mole is generally (90% cases) triploid but in 10% cases it can be tetraploid or mosaic also.